Neutral substances are transported across the cell membrane by
1. Porins
2. lonophore
3. Lipopolysaccharides
4. Diffusion

Correct answer: 4. Diffusion

Explanation: Neutral substances cross membranes based on their concentration gradient. That occurs by diffusion.